Occlusal loading resulting in tooth flexure, mechanical microfractures, and loss of tooth substance in the cervical area is
1. Abrasion
2. Attrition
3. Erosion
4. Abfraction

Correct answer: 4. Abfraction

Explanation: Wasting diseases of the teeth include erosion (corrosion; may be caused by acidic beverages), abrasion (caused by mechanical wear as with toothbrushing with abrasive dentifrice), attrition (due to functional contact with opposing teeth), and abfraction (flexure due to occlusal loading).